Urea cycle take place in:
1. Liver
2. GIT
3. Spleen
4. Kidney

Correct answer: 1. Liver

Explanation: Ans. a. LiverSITE OF UREA CYCLEOrgan: LiverOrganelle: Partly mitochondrial and partly cytoplasmic